Carotene is not found in high amounts in ?
1. Tomato
2. Cabbage
3. Potato
4. Spinach

Correct answer: 3. Potato

Explanation: Ans. is 'c' i.e., Potato Vitamin A Vitamin A covers both - i) Retinal (a preformed vitamin) ii) 3-carotene (pro-vitamin) Retinol content of selected foods Retinol equivalents (RE) (meg/100 g) Halibut liver oil 900,000 Carrot 1167 Cod liver oil 18,000 Spinach 607 Liver, Ox 16,500 Amaranth 515 Butter 825 Green leaves 300 Margarine 900 Mango, ripe 313 Cheese 650 Papaya 118 Egg 140 Orange 25 Milk, Cow 38 Tomato 84 Fish 40